Which of the following is not a type of teukoplakia:
1. Ulcerative
2. Bullous
3. Speckled
4. Homogenous

Correct answer: 2. Bullous